Ovarian artery is a branch of:
1. Renal artery
2. Internal iliac artery
3. Abdominal part of the aorta
4. External iliac artery

Correct answer: 3. Abdominal part of the aorta

Explanation: The ovarian artery arises from the abdominal part of the aorta at the level of the first lumbar vertebra. The artery is long and slender and passes downward and laterally behind the peritoneum. It crosses the external iliac artery at the pelvic inlet and enters the suspensory ligament of the ovary.It then passes into the broad ligament and enters the ovary by way of the mesovarium.